Level of trachea bifurcation in pediatic patient is -
1. T2
2. T3
3. T4
4. T5

Correct answer: 2. T3

Explanation: Ans. is 'b' i.e., T3 o Bifurcation of trachea in children is at T3. level while in adult at T4 - T5 level. In adult if may reach upto T6 level during deep inspiration.o Trachea extend from lower border of cricoid cartilage (level of C6) to upper border of T5 vertebra (adult),o Tracheal diameter in mm corresponds to age in year (pediatric) eg. 4mm in 4 year old child,o Narrower airway exert greater resistance in children so develop distress in respiratory tract infection.